Severe birth asphyxia is defined when APGAR score
1. 0-3 for > 2 minutes
2. 0-2 for > 5 minutes
3. 0-3 for > 5 minutes
4. 0-4 for > 3 minutes

Correct answer: 3. 0-3 for > 5 minutes

Explanation: Severe Birth Asphyxia

APGAR score 0-3 for > 5 minutes
Severe acidosis (cord blood PH < 7.0)
Any clinical evidence of CNS dysfunction
Any evidence of dysfunction of atleast 1 organ other than CNS